Pseudo tumour syndrome is seen in
1. SLE
2. Thallasemia
3. Hemophilia
4. Hyperparathyroidism

Correct answer: 3. Hemophilia

Explanation: In Hemophilia , Retroperitoneal hemorrhages can accumulate large quantities of blood with formation of masses with calcification and inflammatory tissue reaction (pseudotumor syndrome) and also result in damage to the femoral nerve. Pseudotumors can also form in bones, especially long bones of the lower limbs. ref - harrisons 20e pg831